All of the following drugs are protease inhibitors EXCEPT :
1. Nelfinavir
2. Saquinavir
3. Abacavir
4. Ritonavir

Correct answer: 3. Abacavir